Sphenoidal sinus opens into:
1. Superior meatus
2. Inferior meatus
3. Middle meatus
4. Spheno-ethmoidal recess

Correct answer: 4. Spheno-ethmoidal recess

Explanation: (d) Spheno-ethmoidal recess(Ref. Cummings, 6th ed., 659)The Sphenoid sinus opens into the spheno-ethmoidal recess just above the superior turbinate.